Half-life of Iodine 131 is
1. 8 hours
2. 8 days
3. 8 weeks
4. 8 months

Correct answer: 2. 8 days

Explanation: Iodine 131 is a radioisotope with a very short half-life of 8.02 days, making it highly radioactive. Frequently used in small doses in thyroid cancers therapies, it is also one of the most feared fission products when accidentally released into the environment